Most common cause of dissecting hematoma is
1. Hypertension
2. Marfan's syndrome
3. Iatrogenic
4. Kawasaki

Correct answer: 1. Hypertension

Explanation: Aortic dissection occurs when blood splays apart the laminar planes of the media to form a blood-filled channel within the aortic wall.Aortic dissection occurs mainly in two age groups: (1)men aged 40 to 60 with antecedent hypertension (more than 90% of cases); and (2) younger patients with connective tissue abnormalities that affect the aorta.Robbins Basic pathology, 9th edition, pg no.346